Wrong statement is –
1. Mees line in arsenic poisoning
2. Pterygium of nails in Lichen planus
3. Onycholysis in Psoriasis
4. Koilonychia in Megaloblastic Anemia (B12 def)

Correct answer: 4. Koilonychia in Megaloblastic Anemia (B12 def)

Explanation: Koilonychia is seen in iron deficiency anemia (not in megaloblastic anemia).
Mees line is seen in Arsenic poisoning.
Pterygium is diagnostic for lichen planus.
Psoriasis can cause onycholysis